Which of the following lesion shows characteristic anagen, catagen and telogen phases?
1. Verucca vulgaris
2. Squamous papilloma
3. Keratoacanthoma
4. All of the above

Correct answer: 3. Keratoacanthoma

Explanation: Kerato acanthoma is a self healing carcinoma.
It shows growth phase, stationary phase, regression phase.